A child with fever and barky cough presented to emergency at 3 am. His respiratory rate is 36/min, stridor only on crying, fever 39 degrees celsius, no other abnormality.What is the next logical step?
1. Racemized epinephrine nebulisation
2. Dexamethasone
3. Do nothing, just reassure
4. Give surfactant

Correct answer: 2. Dexamethasone

Explanation: This child is suffering from Croup (Laryngotracheobronchitis): mild variety. Oral/IM Dexamethasone (single dose) are beneficial in mild croup, as measured by reduced need and duration of hospitalization. Nebulized epinephrine is indicated inmoderate to severe croup (stridor at rest, the possible need for intubation, respiratory distress, and hypoxia) Antibiotics are not indicated in croup as it is a viral disease.